Asbestosis of the lung is associated with all of the following except-
1. Mesothelioma
2. Progression of lesion even after stopping exposure to asbestos
3. Nodular lesions involving upper lobe
4. Asbestos bodies in sputum

Correct answer: 3. Nodular lesions involving upper lobe

Explanation: Ans. is 'c' i.e., Nodular lesions involving upper lobes Pulmonary changes of asbestos exposure o Pleural plaques are the most common manifestation of asbestos exposure. They are well-circumscribed plaques of dens collegen, often containing calcium. They develop most frequently on the anterior and posterolateral aspects of parietal pleura and over dome of diaphragm. o There is diffuse interstitial fibrosis mainly involving lower lung fields. Involved part contains asteroid bodies --> golden brown, fusiform or beaded rods with a translucent center and consist of asbestos fibers coated with an iron-containing proteinaceous material. o Other inorganic particulates may become coated with similar iron protein complexes and are called ferruginous bodies. Option "B" o Asbestosis is a pneumoconiosis caused by exposure to asbestos (a commercial name given to certain types of fibrous material). o The disease occurs at least 5 to 10 yrs. after exposure. o In many cases disease presents itself years after the exposure has ceased.